Anaesthetic agent of choice in renal failure –
1. Methoxyflurane
2. Isoflurane
3. Enflurane
4. None

Correct answer: 2. Isoflurane

Explanation: Amongst the given options isoflurane is best.
Overall, Desflurane is best in renal failure.